NOT a feature of Classical triad of Congenital Rubella Syndrome is
1. Cataract
2. Patent Ductus Arteriosus
3. Microcephaly
4. Deafness

Correct answer: 3. Microcephaly

Explanation: Classical triad of Congenital Rubella Syndrome is

Congenital Cataract
Congenital heart disease (most common- Patent Ductus Arteriosus)
Deafness